How many cusps are present in chewing surface of premolars ?
1. 2
2. 3
3. 4
4. 5

Correct answer: 1. 2

Explanation: Ans. is 'a' i.e., 2 Premolars or bicuspids They have two cusps on the chewing surface of teeth. The root is usually single but may be double.